Early and reliable indication of air embolism during anaesthesia can be obtained by continuous monitoring of:
1. ECG
2. Blood pressure
3. End Tidal CO2
4. Oxygen saturation

Correct answer: 3. End Tidal CO2

Explanation: End Tidal CO2